All of the following agents are antidepressants, except
1. Trazodone
2. Amitryptiline
3. Fluoxetine
4. Pimozide

Correct answer: 4. Pimozide

Explanation: Trazodone, Amitryptiline and fluoxetine are antidepressants.
Pimozide is an antipsychotic.